The regeneration of nerve fibres is possible in the
peripheral nervous system than the central nervous system because
1. Presence of neurilemmal sheath in peripheral nerve
2. Presence of neurilemmal sheath in central nervous system
3. The absence of myelin sheath in the central nervous system
4. Disturbed vascular supply

Correct answer: 1. Presence of neurilemmal sheath in peripheral nerve